Community health centers provide ?
1. Primary health care
2. Secondary health care
3. Tertiary health care
4. Any of the above

Correct answer: 2. Secondary health care

Explanation: Ans. is 'b' i.e., Secondary health care